Odourless poisoning is:-
1. Cannabis
2. Datura
3. Phenol
4. Chloral hydrate

Correct answer: 2. Datura

Explanation: Poisons and Smell * Organophosphorus compounds: Kerosene (due to the addition of AROMAX) * Arsenic, Aluminium phosphide: Garlic * Cannabis: Burnt rope * Smell of carrot: Hemlock (conium maculatum) * Alcohol: Fruity (due to congeners) * Cyanide: Bitter almond * Hydrogen sulphide: Rotten egg * Chloral hydrate/Paraldehyde: Acrid pear * Naphthalene: Moth ball * Salicylate: Menthol * Zinc phosphide: Fishy